Posterior column lesion which of the following is not affecteda) Vibrationb)  Temperaturec) Fine touchd) Position sensee) Crude touch
1. be
2. ad
3. bc
4. ce

Correct answer: 1. be

Explanation: Sensations carried by posterior column
-        Proprioception, Vibration, kinesthesia, fine touch.
Sensations carried by anterolateral column
 
-        Temperature, pain (lateral) and crude touch (anterior)